True regarding japanese encephalitis is except -
1. Man to man transmission is not reported
2. Culicine mosquito s zoophilic
3. Mortality is 80-90%
4. Cases show up of iceberg

Correct answer: 3. Mortality is 80-90%

Explanation: During 2008,about 3,839 cases with 684 deaths and during 2009, 4,482,cases and 774 deaths were reported Ref.PARK'S TEXTBOOK OF PREVENTIVE AND SOCIAL MEDICINE 21st edition page no 260.